A 2-year-old child comes with ear discharge, seborrheic dermatitis, polyuria and hepatosplenomegaly. Which of the following is the most likely diagnosis?
1. Leukemia
2. Lymphoma
3. Langerhan's cell histiocytosis
4. Germ cell tumor

Correct answer: 3. Langerhan's cell histiocytosis

Explanation: c. Langerhan's cell histiocytosis(Ref: Nelson's 20/e p 2484-2489], Ghai 8/e p 620-623)Seborrheic dermatitis, polyuria, hepatosplenomegaly and ear discharge suggests diagnosis of LCH.